Which of the following drugs for chronic hepatits B therapy is not given orally?
1. Lamivudine
2. Adefovir
3. Telbivudine
4. Pegylated interferon

Correct answer: 4. Pegylated interferon

Explanation: Ans. is 'd' i.e., Pegylated interferon The drugs which are used for the management of chronic hepatitis B infection include:* Laivudine* Adefovir* Telbivudine* Tenofovir* Entecavir* Pegylated interferonFollowing table illustrates the route of administration, duration of therapy and tolerability of each:FeasturePEG IFNLamivudineAdefovirEntecavirTelbivudineTenofovirRoute of administrationSubcutaneous InjectionOralOralOralOralOralDuration of therapy Tolerability48-52 weeks Poorly tolerated>52 weeks Well tolerated>48 weeks Well tolerated; creatinine monitoring recommended>48 weeks Well tolerated>52 weeks Weil tolerated>48 weeks Well tolerated creatinine monitoring recommended* Only pegylated interferon is given via subcutaneous injections and rest others are given via oral route of administration.